Incubation period of swine flu-
1. 1-3 days
2. 2-3 weeks
3. 10-15 days
4. 5 weeks

Correct answer: 1. 1-3 days

Explanation: (ref:Park's text book 23rd edition) Incubation period of swine flu is 2 - 3 days. It is caused by pandemic influenza A (H1N1) It can infect Lower respiratory tract and causes rapidly progressive pneumonia.